All of the following are branches of Internal iliac artery except
1. Inferior vesical artery
2. Inferior epigastric artery
3. Iliolumbar artery
4. Internal pudendal artery

Correct answer: 2. Inferior epigastric artery

Explanation: Internal iliac artery branches Anterior Division Posterior Division Superior vesicle artery Obturator artery Uterine artery Inferior vesicle artery Middle rectal artery Inferior gluteal artery Internal pudendal artery Iliolumbar artery Superior gluteal artery Lateral sacral artery Inferior epigastric artery is the branch of external iliac artery.